A middle aged female has flaccid bullac in the skin and oral erosion. Histopathology shows intraepidermal acanthololytic blisters. The most likely diagnosis is
1. Pemphigus vulgaris
2. Paraneoplastic pemphigus
3. Bullous pemphigoid
4. Dermatitis hepatifOflis

Correct answer: 1. Pemphigus vulgaris

Explanation: In pemphigus vulgaris skin involvement starts in the form of flaccid blisters. Cutaneous lesions are usually preceded by blisters and erosions of oral mucosa. HP shows a suprabasal cleft with bulla formation just above the basal layer with a tomb stone appearance and with blister cavity containing acantholytic cells and inflammatory cells.Page no 280,282. Reference IADVL's concise textbook of dermatology